Basal cell degeneration seen in -
1. Lichen Planus
2. Psoriasis
3. pemphigus
4. Pemphigoid

Correct answer: 1. Lichen Planus

Explanation: Lichen planus is an inflammatory T cell mediated autoimmune disorder affecting skin, hair, nails and mucous membranes. Lichen planus triggers T cell mediated autoimmune damage to basal keratinocytes that manifest as altered self antigens on their surface. Ref Harrison20th edition pg 1256